The femoral ring is bounded by the following structures except:
1. Femoral vein.
2. Inguinal ligament
3. Femoral artery.
4. Lacunar ligament.

Correct answer: 3. Femoral artery.

Explanation: C i.e. Femoral artery